DOC for Psoriatic arthropathy?
1. Methotrexate
2. 5FU
3. PUVA
4. Steroid

Correct answer: 1. Methotrexate

Explanation: Methotrexate is DOC for Psoriatic arthropathy Psoriatic erythroderma Methotrexate is contraindicated in pregnancy and children. DOC for: Psoriatic arthritis- Methotrexate Erythrodermic psoriasis- Methotrexate Pustular psoriasis- Acitretin > Methotrexate Impetigo herpetiformis- Systemic steroids> cyclosporine